The normal tensile strength of tissue at the site of wound is gained after-
1. One week of wound healing
2. Two weeks of wound healing
3. Two months of wound healing
4. None

Correct answer: 4. None

Explanation: Ans. is 'None'Wound strength At the end of first week, wound strength is approximately 10% that of normal skin.Strength increases rapidly over the next 4 weeks.At the end of third months, the strength reaches a plateau of about 70 to 80% of the normal skin, a condition that may persist for life.So, (Remember following facts)Tensile strength never reaches the normal strength of unwounded tissue (i.e., 100%).Maximum strength is achieved by the end of 3 months.Maximum strength is 70-80% of normal tissue.How does tensile strength change with time ?During first 2 months it is due to excess collegen deposition.After that it is due to structural modification of collegen, i.e., cross-linking, increased fiber size.